Bence jones proteins are best described as -
1. chains
2. g chains
3. Kappa & Lambda chains
4. Fibrin split products

Correct answer: 3. Kappa & Lambda chains

Explanation: Bence Jones protein are the light chains of immunoglobulins and so may occur in kappa and lambda forms. - found in multiple myeloma. identified by unique property of coagulation when heated to 50degC but redissolving at 70degC. REF:Anathanarayan & paniker's 9th edition, pg no:99